"Looser's zone" are seen in:
1. Osteogenesis imperfecta
2. Osteopetrosis
3. Osteomalacia
4. Hypoparathyroidism

Correct answer: 3. Osteomalacia

Explanation: Ans. c (Osteomalacia). (Ref. Grainger, Diagnostic Radiology, 4th/ pg. l933, 1949).MBKMAN'S FRACTURE/ LOOSER'S ZONE/ UMBAU ZONE/ PSEUDO FRACTURE# Focal accumulations of osteoid are seen in compact bone at right angles to long axis; radiographically, these are known as Looser's zones or pseudofractures or umbau zones# Exact cause of looser's zones is unclear, although they probably represent partial insufficiency fractures.# It is a distinguishing sign of osteomalacia, although they may occur rarely also in:- Paget's disease- Fibrous dysplasia- Osteoporosis (rarely)- Hyperphosphatasia- Osteogenesis imperfecta# They are symmetrically distributed & occur principally in:- Pubic rami,- femoral necks,- scapulae,- ribs,- long bones,- metatarsals.# Other key imaging features of osteomalacia is:- Osteopenia,- intracortical resorption (cortical tunneling),- coarsened, indistinct trabecular pattern,- bowing of bones,- true fractures, especially at the femoral neck.